Part of M-RNA removed during protein synthesis ?
1. Interon
2. Codon
3. Exon
4. Suistron

Correct answer: 1. Interon

Explanation: A i.e. Interon